Which of the following can cause delirium -
1. Hypoxia
2. Barbiturates
3. Alcohol withdrawal
4. All of the above

Correct answer: 4. All of the above

Explanation: Ans. is 'd' i.e., All of the aboveImportant causes of delirium1. Trauma : - Head injury, subdural hematoma2.Infection : - Septicemia, pneumonia, endocarditis.3. Metabolic : - Hypoxia, hypercapnia, uremia, CHF, Hepatic failure, porphyria, metabolic acidosis or alkalosis, water & electrolyte imbalance.4. Endocrine : - Hypo- or hyperpituitarism, Hypo- or Hyperthyroidism, Hypo- or hyperparathyroidism, hypo- or hyperadrenalism.5. Drug intoxication ; - Alcohol, barbiturates, TCA, anticholinergics, anticonvulsants.6. Drug withdrawal: - Alcohol (delirium tremens), sedatives, hypnotics.7. Nutritional deficiency : - Vitamin (Thiamine, pyridoxine, Niacin, B12, Folic acid), Protein.8. Other : - Post-operative, seizures, sleep deprivation.